A 40 year old male patient has a large, foul smelling  ulcer with bright red granulation tissue over the glans penis. There was no lymphadenopathy. The most likely diagnosis is:
1. Syphilis
2. Chancroid
3. LGV
4. Granuloma inguinale

Correct answer: 4. Granuloma inguinale

Explanation: Ulcer with red granulation tissue (beafy red) and absence of lymph nodes suggests the diagnosis of granuloma inguinale or Donovanosis.